Krabbe's disease is due to deficiency of-
1. Sphingomyelinase
2. Beta galactocerebroside
3. Hexosaminidase
4. Arylsulfatase

Correct answer: 2. Beta galactocerebroside

Explanation: Ans. B. Beta galactocerebrosidase Examples of SphingolipidosesDiseaseEnzyme DeficiencyLipid AccumulatingClinical SymptomsTay-Sachs diseaseHexosaminidaseACer--Glc-Gal(NeuAc)-GalNAcGM2 GangliosideIntellectual disability, blindness, muscular weaknessFabry diseasea-GalactosidaseCer-Glc-Gal-GalGlobotriaosylceramideSkin rash, kidney failure (full symptoms only in males; X-linked recessive)Metachromatic leukodystrophyArylsulfatase ACer--Gal-OSO3 3- SulfogalactosylceramideIntellectual disability and psychologic disturbances in adults; demyelinationKrabbe diseaseb-GalactosidaseCer-Gal Galactosyl ceramideIntellectual disability; myelin almost absentGaucher diseaseb-GlucosidaseCer-Glc GlucosylceramideEnlarged liver and spleen, erosion of long bones, intellectual disability in infantsNiemann-Pick diseaseSphingomyelinaseCer--P--choline SphingomyelinEnlarged liver and spleen, intellectual disability; fatal in early lifeFarber diseaseCeramidaseAcyl--Sphingosine CeramideHoarseness, dermatitis, skeletal deformation, intellectual disability; fatal in early life